Pheochromocytoma secretes?
1. Epinephrine
2. Norepinephrine
3. Dopamine
4. All

Correct answer: 4. All

Explanation: ANSWER: (D) AllREF: Harrison's Internal Medicine > Chapter 337. PheochromocytomaSee previous question"Pheochromocytomas and paragangliomas synthesize and store catecholamines, which include norepinephrine (noradrenaline), epinephrine (adrenaline), and dopamine"